Which of the following is most common cancer leading to death?
1. Lung cancer
2. Oral cancer
3. Skin cancer
4. Prostate cancer

Correct answer: 1. Lung cancer

Explanation: Ans. (a) Lung cancerRef.-.Table 81.1 Harrison 18th EditionThe most common cancer in the world is lung cancer, and it is the most common cause of cancer related death.